Demographic process includes
1. Morbidity
2. Marriage
3. Family planning
4. Education

Correct answer: 2. Marriage

Explanation: Demographic process work on

Marriage.
Fertility.
Mortality.
Migration.
Social mobility.